Three stages in progression of acute odontogenic infection are
1. Periapical osteitis, cellulitis, abscess
2. Abscess, cellulitis, periapical osteitis
3. Cellulitis, Abscess, periapical osteitis
4. Periapical osteitis, abscess, cellulitis

Correct answer: 1. Periapical osteitis, cellulitis, abscess